The lymphatic drainage to central part of the lip is
1. Submandibular node
2. Submental nodes
3. Deep cervical nodes
4. Jugulodiagastric nodes

Correct answer: 2. Submental nodes

Explanation: Submental lymph nodes: these are three or four nodes situated across the midline below the chin in the submental triangle. Lymphatics of the central part of the lower lip drain to the submental nodes,the lymphatics from the rest of the lower lip pass to the submandibular nodes. REF.BDC VOL.3,FIFTH EDITION